Mucormycosis-
1. Angio-invasion
2. Lymph invasion
3. Septate hyphae
4. All

Correct answer: 1. Angio-invasion

Explanation: Ans. is 'a' i.e., Angio-invasion MUCORMYCOSIS Mucormycosis is most commonly caused by species ofRhizopus, Rhizomucor and Cunninghamella, but species of Apophysomyces, saksenaea, mucor and Absidia also are occasionally responsible. They appear as nonseptate hyphae in tissues. In all forms of mucormycosis, vascular invasion (angio-invasion) is a prominant feature. . Ischemic or hemorrhagic necrosis is the foremost histological finding. . Predisposing factors: a) For paranasal sinus Diabetes 1. Hematological malignancies Organ transplantation 2. Long term deferoxamine therapy b)For Gastrointestinal mucormycosis Uremia 3. Diarrhea] disease Severe malnutrition - Primary cutaneous inoculation is uncommon but occurs in burn eschars, underneath occlusive dressings, and sites of minor trauma in immunocompromized adults and low-birth-weight neonates. Treatment Debridement plus amphotericin B.